Which of the following type of cerebral palsy is common in low-birth weight infants
1. Spastic quadriplegia
2. Spastic Diplegia
3. Choreoathetoid cerebral palsy
4. Hemiplegia

Correct answer: 2. Spastic Diplegia

Explanation: Diplegia is common in pre term and low birth weight infants.